Which of the following amyloid forms is seen in secondary amyloidosis associated with chronic diseases -
1. Amyloid Associated Protein
2. Amyloid light chain
3. Beta 2 Amyloid
4. ATTR

Correct answer: 1. Amyloid Associated Protein

Explanation: Ans. is 'a' i.e., Amyloid Associated Proteino Secondary Amyloidosis (Reactive Systemic Amyloidosis) is associated with amyloid deposits that are composed of Amyloid Associated Protein (AAProtein).